Crepitus in a wound is produced by -
1. Staph aureus
2. Clostridium tetani
3. Clostridium welchii
4. Pseudomonas

Correct answer: 3. Clostridium welchii